Drug used in cancer chemotherapy induced vomiting is ?
1. Aprepitant
2. Dexamethasone
3. Ondansetron
4. All of the above

Correct answer: 4. All of the above

Explanation: Ans. is 'd' i.e., All of the above o Drugs used to treat chemotherapy induced nausea and vomiting are: i) 5-HT3 antagonists (drug of choice): Ondansetron, dolasetron, palonosetron, granisetron. Other drugs: Dexamethasone, methylprednisolone, metoclopramide, BZDs (lorazepam) and aprepitant.